Thromboxane A2 is secreted by which of the following cells?
1. Macrophages
2. Platelets
3. Smooth muscle cells
4. Reticuloendothelial cells

Correct answer: 2. Platelets

Explanation: Thromboxane A2 is synthesized by platelets and promotes vasoconstriction and platelet aggregation. Prostacyclin is produced by endothelial and smooth muscle cells in the walls of blood vessels and inhibit platelet aggregation while promoting vasodilation.